Duration of cycloplegic by atropine in an adult:
1. 6 hours
2. 2-3 days
3. 7-10 days
4. 1-2 days

Correct answer: 3. 7-10 days

Explanation: Ans. (c) 7 - 10 daysRef.: A.K. Khurana 6th ed. 1573, Khurana 4th ed./146Cycloplegics and its duration of actionDrugDuration of Effect (days)Atropine7-10Scopolamine3-7Homatropine1-3Cyclopentolate1Tropicamidedays (6 hrs)